Anorectal anomalies are commonly associated with:
1. Cardiac anomalies
2. Duodenal atresia
3. CMS abnormalities
4. Abdominal wall defects

Correct answer: 1. Cardiac anomalies

Explanation: Ref: Robbins Pathologic Basis of Disease, 8th editionExplanation:Anorectal malformations (ARMs)or Imperforate anusThese are birth defects in which the rectum is malformed.The cause of ARMs is unknownThe genetic basis of these anomalies is very complexAnorectal Malformation in Currarino Syndrome represent the only association for which the homeobox gene HLXB9 has been identified.The new classification is in relation of the type of associated fistula.The classical classification was in low and high anomalies:A low lesionThe colon remains close to the skin, stenosis (narrowing) of the anus, or the anus may be missing altogether, with the rectum ending in a blind pouch.A high lesionThe colon is higher up in the pelvisThere is a fistula connecting the rectum and the bladder, urethra or the vagina.A persistent cloaca in which the rectum, vagina and urinary tract are joined into a single channel.Imperforate anus is associated with an increased incidence of some other specific anomalies (VACTERL association)V - Vertebral anomaliesA - Anal atresiaC - Cardiovascular anomaliesT - Tracheoesophageal fistulaE - Esophageal atresiaR - Renal (Kidney) and/or radial anomaliesL - Limb defectsCurrarino syndrome (Currarino triad)The sacrum dysgenesisPresacra I massAnorectal MalformationsIt can also cause an anterior meningocele or a presacral teratoma.